Paralysis of 3rd, 4th, 6th, nerves with involvement of ophthalmic division of 5th nerve, localizes the lesion to -
1. Cavernous sinus
2. Apex of orbit
3. Brainstem
4. Base of skull

Correct answer: 1. Cavernous sinus

Explanation: Cavernous sinus lesions may be associated with paralysis of 3rd, 4th, 5th (ophthalmic and maxillary divisions) and 6th nerve on account of its characteristic relations.